All the following are examples of cardiotoxic drugs except-
1. Cyclophosphamide
2. 5-FU
3. Adriamycin
4. Cisplatin

Correct answer: 4. Cisplatin

Explanation: Ans. is 'd' i.e., Cisplatin Cisplatin is not cardiotoxic Cardiotoxicity of Adriamydn: - I ) ECG changes, arrythmias 2) Congestive heart failure 3) Cardiomyopathy Doxorubicin is also known as adriamycin. Other anticancer drugs causing cardiotoxicity: I)Daunorubicin 2) Cyclophosphamide 3) Mitoxantrone 4)5 - FU